Total number of dehydrogenases in Kreb's cycle
1. 3
2. 2
3. 4
4. 5

Correct answer: 3. 4

Explanation: There are 4 dehydrogenase in TCA cycle :-

(i) Isocitrate dehydrogenase, (ii) α -ketoglutarate dehydrogenase, (iii) Succinate dehydrogenase, (iv) Malate
dehydrogenase.